Post-treatment apical periodontitis in an endodontically treated tooth is called as:
1. Recurrent apical periodontitis.
2. Persistent apical periodontitis.
3. Phoenix abscess.
4. Chronic periapical abscess.

Correct answer: 2. Persistent apical periodontitis.

Explanation: Persistent Apical Periodontitis
Persistent apical periodontitis is a post-treatment apical periodontitis in an endodontically treated tooth